CD marker of histiocytosisis:
1. CD 1a
2. CD 1b
3. CD 1c
4. CD 1d

Correct answer: 1. CD 1a

Explanation: a. CD 1 a(Ref: Nelson's 20/e p 2484-2489, Ghai 8/e p 620-623)Immunohistochemistry shows: CD1a, S-100 or Langerin (CD 207) in Histiocytosis.